Triad of hemochromatosis is
1. Macronodular cirrhosis, diabetes mellitus & skin pigmentation
2. Macronodular cirrhosis, diabetes insipidus & skin pigmentation
3. Micronodular cirrhosis, diabetes mellitus & skin pigmentation
4. None

Correct answer: 3. Micronodular cirrhosis, diabetes mellitus & skin pigmentation

Explanation: Haemochromatosis is an iron-storage disorder in which there is excessive accumulation of iron in parenchymal cells with eventual tissue damage and functional insufficiency of organs such as the liver, pancreas, heart and pituitary gland. The condition is characterised by a triad of features-- micronodular pigment cirrhosis, diabetes mellitus and skin pigmentation. On the basis of the last two features, the disease has also come to be termed as 'bronze diabetes'. Males predominate and manifest earlier since women have physiologic iron loss delaying the effects of excessive accumulation of iron. Haemochromatosis exists in 2 main forms: 1.Idiopathic (primary, genetic) haemochromatosis is an autosomal recessive disorder of excessive accumulation of iron. 2.Secondary (acquired) haemochromatosis is gross iron overload with tissue injury arising secondary to other diseases such as thalassaemia, sideroblastic anaemias, alcoholic cirrhosis or multiple transfusions. TEXTBOOK OF PATHOLOGY 6TH EDITION HARSH MOHAN PAGE NO:627